Which cholesterol is designated as "Good Cholesterol" -
1. VLDL
2. LDL
3. HDL
4. IDL

Correct answer: 3. HDL

Explanation: Ans. is 'c' i.e., HDL o The level of HDL in serum is inversely related to the incidence of MI.o As it is "antiatherogenic" or "protective" in nature, HDL is known as "good cholesterol"..ChylomicronVLDLLDLHDLElectrophoresisFound at originPre-b (a2)ba (or a1)Mobility in electric fieldLeast Found in beta regionHighestAporproteinApob4BApo b-100Apo b-100Apo A-l & IIOrigin (synthesis)Intestine (-nt in serum)Liver, intestinein blood from degradationLiver of VLDLSize1000-10,000 A0 (maxm)300-700 A0 (minm)150-250 A075-100A0Density< .96 (lowest) > 1.063 (Max.)Major lipidsTG (90%)TG (50%)Cholesterol (45%)PL (30%)FunctionsTransports exogenous/dietary TG (Intestine - liver)Transportendogenous TG liver - peripheral tissueAtherogeniccaused CAD coronary artery' d/s; (major transporter of choresstrol in bid)Scavenging actiontransports cholest-rol from peripheral tissue to liver for degrada